A 40 year old female reports of sudden bouts of anxiety which would occur anytime and associated with sweating, palpitation, derealization, and feeling of going crazy. These episodes would last for 20 -25 minutes. So much so that she fears of having these episodes in future. All routine investigations are normal. What is the diagnosis?
1. Generalized anxiety disorder
2. Obsessive-compulsive disorder
3. Panic disorder
4. Tourette's syndrome

Correct answer: 3. Panic disorder

Explanation: Ans. C. Panic disorderPanic attack: acute intense attack of anxiety accompanied by feelings of impending doom.Symptoms during panic attack usually involve* Sudden onset of palpitations, Sweating, Trembling or shaking,* Shortness of breath, Feelings of choking, Chest pain,* Nausea/abdominal distress, Feeling dizzy, unsteady,* Chills or heat sensations,* Paresthesias, derealization or depersonalization.* Fear of losing control or "going crazy or fear of dying.Recurrent panic attacks is Panic disorder